Molar concentration of oral rehydration fluid is -
1. Sodium 30 meq
2. Potassium 20 meq
3. Bicarbonate 30 meq
4. Chloride 20 meq

Correct answer: 2. Potassium 20 meq

Explanation: Ans. is 'b' i.e., Potassium 20 meq